All show miliary shadow on chest X-Ray except
1. Pneumoconiasis
2. Sarcoidosis
3. MS
4. Staphylococcal Pneumonia

Correct answer: 4. Staphylococcal Pneumonia

Explanation: D i.e. Staphylococcal pneumonia